Remnant of 1st arch aery ?
1. Maxillary aery
2. Mandibular aery
3. Stapedial aery
4. No remnants

Correct answer: 1. Maxillary aery

Explanation: 1st arch aery remnant is Maxillary Aery 2nd arch aery remnant is Stapedial Aery 3rd arch aery - Rt and Lt common Carotid Aeries and proximal pa of ICA. 4th arch aery - Rt. side - Proximal poion of Rt. Subclan Aery Lt. side - Arch of Aoa (pa between Left subclan and left common carotid aery) 5th arch aery has no remnant. 6th arch aery - Left - Left pulmonary aery and ductus aeriosus Right - Right pulmonary aery.